Smith's fracture involves which bone -
1. Proximal radius
2. Distal radius
3. Fracture ulna
4. Fracture humerus

Correct answer: 2. Distal radius

Explanation: (B) (Distal radius) (109 110 - Maheshwari 4th)* Smiths Fracture: A fracture of distal end of the radius of cortico-cancellous junction with ventral tilt and displacement (reverse Colie's fracture)* Barton's Fracture: A vertical, marginal intra-articular fracture of the distal end of radius occurring with volar or dorsal displacement* Colie's Fracture: Fracture at cortico-cancellous junction of the distal end of radius with dorsal tilt (Dinner Fork deformity).* Galeazzi Fracture Dislocations: Fracture of the proximal third of radius with dislocation of the distal radioulnar joint.* Montegia Fracture Dislocations: Fracture of the proximal third of ulna with radial head dislocation.* Bennet's Fracture: Oblique intra-articular fracture of the 1st metacarpal.* Ronaldo Fracture: Fracture at base offirst metacarpal (Extra-capsular).* Boxer's Fracture: A fracture through the neck of the 5th metacarpal.* March Fracture: is fatigue (stress) fracture of 2nd and 3rd metatarsal, common in military personnel.* Hangman's Fracture: Fracture dislocation of C2**.* Jafferson's Fracture: is the most common fracture of the atlas (Cl)*** Pott's Fracture: is Bimalleolar ankle fracture.* Cotton's Fracture is a Trimallealar ankle fracture.* Pilon Fracture: Communited intra-articular fracture of distal tibial end and febula.* Aviator Fracture: Fracture of neck of talus.* Greenstick Fracture: is an incomplete transverse fracture pattern seen in children.* Pulled elbow: Subluxation of head of radius.